Oral candidiasis presents with white patch in all except?
1. Acute pseudomembranous candidiasis
2. Chronic atrophic candidiasis
3. Chronic hyperplastic candidiasis
4. Chronic mucocutaneous candidiasis

Correct answer: 2. Chronic atrophic candidiasis

Explanation: Chronic atrophic candidiasis: Red lesions seen in denture wearers. Also called denture mouth Sharply defined areas of erythema and edema on the palate, area in contact with dentures Patterns of Oral Candidiasis: Acute Pseudomembranous Candidiasis(thrush) - M/C feature Acute atrophic candidiasis Angular stomatitis Candidal Leukoplakia Chronic atrophic candidiasis NOTE-EXTRA EDGE Perleche (Oral mucosal candidiasis) Caused by Candida Characterised by soreness and cracking at the angles of the mouth extending outwards in the folds of the facial skin. Also called Angular stomatitis.